Pinna calcification is seen in all except:
1. Gout
2. Ochronosis
3. Frost bite
4. Addison's disease

Correct answer: 1. Gout

Explanation: Ans. a. Gout (Ref: style="font-size: 1.04761904761905em; font-family: Times New Roman, Times, serif">.com/article.aspx?articleid 332575; Sample of Chapter/1550092413.pdf)Pinna Calcification is seen in* Addison's diseaseQ* OchronosisQ* AcromegalyQ* Hypertension* Diabetes mellitus* HyperthyroidismQ* von Meyenburg's disease (systemic chondromalacia)Late calcification of the auricular cartilage following frostbite.( style="font-size: 1.04761904761905em; font-family: Times New Roman, Times, serif"> of Chapter/1550092413.pdf)Delayed dystrophic calcification of the underlying auricular cartilage may develop years after the initial frostbite. When this occurs, the pinna is bony and hard to palpation. A radiograph of the pinna will reveal radiodense areas of calcification in the auricular cartilage.